Which one of the following enteric organisms is anaerogenic and non motile?
1. Shigella sonnei
2. Salmonella typhi
3. Proteus mirabilis
4. Klebsiella pneumonia

Correct answer: 1. Shigella sonnei